A hemodynamically stable patient with blunt abdominal trauma, the best investigation is?
1. CECT abdomen
2. MRI abdomen
3. Diagnostic Peritoneal lavage
4. F.A.S.T

Correct answer: 1. CECT abdomen

Explanation: Ans. (a) CECTRef: Bailey & Love 26th ed./208Since the patient is in shock with history of blunt abdomen trauma, the first investigation to be done should be FAST. The main role of ultrasound includes the assessment of intraperitoneal fluid and haemopericardium In the presence of free intraperitoneal fluid and an unstable patient, the ultrasound allows the trauma surgeon to explore the abdomen as a cause of blood loss.In the presence of fluid and a haemodynamically stable individual further assessment by way of CT shall be performed. Occasionally, a second ultrasound scan may show free fluid in the presence of an initially negative FAST scan.